Tertiary lymphoid organs are often seen with which disease?
1. Tuberculosis
2. Rheumatoid arthritis
3. Malaria
4. All of the above

Correct answer: 2. Rheumatoid arthritis

Explanation: In some strong chronic inflammatory reactions, the accumulation of lymphocytes, antigen-presenting cells, and plasma cells may assume the morphologic features of lymphoid organs, particularly lymph nodes, even containing well-formed germinal centers. These are called tertiary lymphoid organs; this type of lymphoid organogenesis is often seen in the synovium of patients with long-standing rheumatoid arthritis. Ref: Robbins 8th edition, Chapter 2.